Malaria carriers contain -
1. Trophozoite
2. Gametocytes
3. Merozoites
4. Trophozoites

Correct answer: 2. Gametocytes

Explanation: Gametogony Some merozoites of erythrocytic schizogony develop into male and female gametes known as microgametocyte and macrogametocyte.They develop in RBC 's of of the capillaries of internal organs such as spleen and bone marrow (refer pgno:57 baveja 3 rd edition)